Which of the following risk factors is most commonly associated with chorioamnionitis?
1. Maternal drug abuse
2. Poor maternal hygiene
3. Prior cesarean delivery
4. Prolonged rupture of membranes

Correct answer: 4. Prolonged rupture of membranes

Explanation: Risk factor most commonly associated with chorioamnioitis- Prolonged rupture of membranes Ascending infection is most common and frequently is associated with prolonged membrane rupture and long labor. A variety of organisms may infect the membranes, umbilical cord, and eventually the fetus.